Nerve supply to the musculature of the urinary bladder is -
1. Symphathetic
2. Parasympathetic
3. Both
4. None

Correct answer: 3. Both

Explanation: Parasympathetic supply is motor to detrusor muscle and inhibitory to sphincter vesicae. Sympathetic supply is motor to sphincter vesicae and inhibitory to detrusor muscle.

Nerve supply of bladder 

 The bladder is supplied by both sympathetic and parasympathetic fibers.

Parasympathetic: Preganglionic fibers arise from S2 to S4 cord segments, pass via pelvic splanchnic nerves. After relay in ganglion cells in pelvic plexus (inferior hypogastric plexus) and in the bladder wall, postganglionic fibers supply detrusor muscle. Contraction of detrusor muscle is mediated by cholinergic muscarinic receptors (Mj).
Preganglionic parasympathetic neurons at S2. S3, and S4 cord segments innervating bladder form sacral micturition center.
Sympathetic: Preganglionic fibers arise from lateral horn cells of T11-L2 cord segments and pass via lower lumbar splanchnic nerves, superior hypogastric plexus (the presacral nerve of Latarjet) to reach inferior hypogastric (pelvic) plexus. Aer relay in pelvic ganglia, postganglionic sympathetic fibers (i) simulate sphincter vesicae (internal urethral sphincter) via α1 adrenoceptors and (ii) cause relaxation of detrusor muscle via β2 adrenoceptors. It can also inhibit presynaptically the parasympathetic ganglia via α2. adrenoceptors
1. Visceral afferents : (1) pain fibers from bladder pass through both parasympathetic and sympathetic pathway and enter T11-L2 and S2-S4 cord segments, hence referred pain is felt in the lower part of anterior abdominal wail (hypogastrium), upper part of front of thigh, scrotum or labium majus, penis or clitoris, and perineum. Centrally, spinothalamic pathway conducts pain impulses from the bladder.
2. Stretch afferents: arising from stretch receptors in the bladder wall pass via pelvic splanchnic nerves, enter S2, S3, and S4 cord segments and establish reflex connections with the sacral micturition center, which innervates detrusor.
So afferent and efferent limb of this micturition reflex is formed by pelvic splanchnic nerves.
Sacral mictmion center and the micturition reflex are controlled by facilitatory and inhibitory centers located in the pons and paracentral lobule of the frontal lobe of the cerebrum.